Female health worker does all except -
1. Malaria survey
2. Register births and deaths
3. Register preganant females
4. Distributes contraceptives

Correct answer: 1. Malaria survey

Explanation: Some of the duties of health worker females includes; - maintenance of register of births and deaths. - register of pregnant women - distribution of contraceptive - assist the health worker male in maintenance of record of malaria, tuberculosis and leprosy cases in that area. Reference : Park's textbook of preventive and social medicine, 23rd edition, pg no:908,909